An 44 year old engineer noticed that he has an eye that is persistent directed toward his nose. A lesion of which of the following nerves could produce this finding?
1. CNII
2. CN
3. CN V
4. CN VI

Correct answer: 4. CN VI

Explanation: CN VI